A lady wants LASIK surgery for her daughter. She asks for your opinion. All the following things are suitable for performing LASIK surgery except –
1. Myopia of 4 Diopters
2. Age of 15 years
3. Stable refraction for 1 year
4. Corneal thickness of 600 microns

Correct answer: 2. Age of 15 years

Explanation: Patient selection criteria for LASIK

Patients above 20 years of age
Stable refraction for at least 12 months
Motivated patients
Myopia up to -12D
The absence of corneal pathology
Corneal thickness > 500 m

​Contraindications of LASIK

Monocular patient
Infections eg: conjunctivitis
Glaucoma
Autoimmune disease
Thin cornea (< 450 microns)
Keratoconus
Poor endothelial cell count in the cornea (< 1500)
Dry eye
Diabetic retinopathy